Which of the following features is not characteristic of PTSD?
1. Delusion
2. Night mares
3. Avoidance
4. Flashbacks

Correct answer: 1. Delusion

Explanation: Diagnosing Post-traumatic Stress disorder: Atleast one month of the following 4 characteristic symptoms after a life-threatening experience: Night mares Hyper-arousal Flash backs Avoidance Late onset PTSD is symptoms appearing 6 months after the life-threatening event.